The following are true of Trichomoniasis, except:
1. Is a sexually transmitted disease
2. Is associated with immunosuppression
3. Is most often asymptomatic
4. Produces copious thin frothy discharge

Correct answer: 2. Is associated with immunosuppression

Explanation: Trichomoniasis has no association with immunosuppression.